All of the following murmurs may be heard in patients with aortic regurgitation EXCEPT:
1. High pitched decrescendo diastolic murmur
2. Soft, low pitched mid-diastolic rumbling murmur
3. Mid-systolic ejection flow murmur
4. Pansystolic murmur

Correct answer: 4. Pansystolic murmur

Explanation: Ans. D i.e. Pansystolic murmur Aortic regurgitation/AR Murmur heard: Mid diastolic Austin Flint murmur (severe AR) Wide pulse pressure AR may be seen in: -- Rheumatic fever, -- Aortic dissection etc.